Treatment of choice of scabies in pregnancy -
1. Ivermectin
2. Gamma-benzene hexachloride
3. Permethrin
4. None

Correct answer: 3. Permethrin

Explanation: Treatment of choice for scabies in pregnancy is 5%permethrin cream and 6%precipitated sulphur. rest all are contraindicated in pregnancy. iadvl textbook of dermatology page 429